Gas gangrene is caused by all except?
1. Cl. histolyticum
2. Cl. novyi
3. Cl. septicum
4. Cl. sporogenes

Correct answer: 4. Cl. sporogenes

Explanation: Ans. is 'd' i.e., Cl. sporogenes